Which of the following is fibrosing type of thyroiditis?
1. Hashimoto's thyroiditis
2. Riedel's thyroiditis
3. De Quervain's thyroiditis
4. All of the above

Correct answer: 2. Riedel's thyroiditis